Artery of anatomical snuftbox-
1. Radial
2. Ulnar
3. Brachial
4. None

Correct answer: 1. Radial

Explanation: Ans, is 'a' i.e., Radial Anatomical Snuffboxo Triangular depression on the dorsal and radial aspect of the hand become visible when thumb is fully extended. Boundarieso Medial/Posterior--Tendon of the extensor pollicis longus.o Lateral/ Anterior--Tendon of the extensor pollicis brevis and abductor pollicis longus.o Roof--Skin and fascia with beginning of cephalic vein and crossed by superficial branch of the radial nerve,o Floor--Styloid process of radius, trapezium, scaphoid and base of 1 st metacarpal,o Contents--The radial artery.